A female patient has adenocarcinoma uterus along with sarcoma of uterus. It is known as -
1. Homologous sarcoma
2. Sarcoma uterus
3. Mixed mullerian carcinogenesis
4. Heterologous sarcoma

Correct answer: 3. Mixed mullerian carcinogenesis

Explanation: Of the Uterine Sarcomas Almost 50% of are Mixed and are called the Mixed Mesodermal tumors (Synonymously called Mixed mullerian tumors). These mixed tumors can be Homologous 25% Heterologous 20% Adencarcinomas in 5% cases. The other Uterine sarcomas are Leiomyosarcoma in 33% cases and Stromal sarcoma in 16% cases